If the prevalence of a disease in a population increases, the predictive value of a positive test ?
1. Increases
2. Decreases
3. Remains constant
4. Becomes compromised

Correct answer: 1. Increases

Explanation: Ans. is 'a' i.e., Increases